Calories provided by a cup of tea with the usual amount of sugar is around:
1. 50
2. 80
3. 130
4. 200

Correct answer: 2. 80

Explanation: Composition of a 150 ml cup: Coffee tea cocoa Protein in g 1.2 0.9 7.2 Fat in g 7.8 1.1 8.8 Carbohydrate in g 17.8 16.4 26.2 Kcal 98 79 213 Ref: Park, 22nd edition pg: 585